Which of the three primary germ layers forms the histologically definitive endocardium of the adult heart?
1. Ectoderm
2. Endoderm
3. Mesoderm
4. Epiblast

Correct answer: 3. Mesoderm

Explanation: C. The entire cardiovascular system is of mesodermal origin.